Most common cause of sudden death-
1. Venticular fibrillation
2. Atrial fibrillation
3. PSVT
4. A-V block

Correct answer: 1. Venticular fibrillation

Explanation: the most common cause of sudden death in people is ventricular fibrillation Ventricular fibrillation is the most frequent cause of sudden cardiac death. The condition's rapid, erratic heartbeats cause the heart to abruptly stop pumping blood to the body. The longer the body is deprived of blood, the greater the risk of damage to your brain and other organs. Death can occur within minutes. Ref Davidson 23rd edition pg 445